Ancylostoma enters the human body by -
1. Ingestion
2. Inhalation
3. Penetration of skin
4. Inoculation

Correct answer: 3. Penetration of skin

Explanation: Ancylostoma enters the human body by penetration of skin. ANCYCLOSTOMA DUODONALE (Hookworm): Host - Man. Infective form - 3rd stage filariform (L3) larva. Mode of transmission- penetration of skin by 3rd stage filariform (L3) larva (by walking bare foot in dampen soil). Habitat- small intestine.